"a" wave in JVP indicates:
1. Atrial systole
2. Ventricular systole
3. Atrial relaxation
4. Tricuspid regurgitation

Correct answer: 1. Atrial systole

Explanation: A wave: Arc positive waves due to distention producedby right atrial contraction Large a waves: Indicate atrium is contracting against increased resistance tricuspid stenosis, pulmonary stenosis, pulmonary hypertension.
Cannon S waves
Regularly: During junctional rhythm. Irregularly: complete Heart Block. Absent a waves: Atrial Fibrillation